Tardy Ulnar nerve palsy may be seen after all except-
1. Malunited lateral condyle humerus fracture
2. Cubitus Varus due to malunited supracondylar fracture of the humerus
3. Old neglected elbow dislocation presenting with cubitus valgus
4. Fracture midshaft ulna

Correct answer: 4. Fracture midshaft ulna

Explanation: Ans. is 'd' i.e., Fracture midshaft ulna Causes of tardy ulnar nerve palsyi) Malunited lateral condyle humerus fracture (cubitus valgus)ii) Displaced medial epicondyle humerus fractureiii) Cubitus varus deformity (due to supracondylar fracture humerus)iv) Elbow dislocationv) Contusions of ulnar nervevi) Shallow ulnar groovevii) Hypoplasia of humeral trochleaviii) Joint deformity after prolonged arthritis of elbow